Which of the following techniques uses piezoelectric crystals?
1. Ultrasonography
2. NMR imaging
3. X-ray diffraction
4. Xeroradiography

Correct answer: 1. Ultrasonography

Explanation: Ans. Ultrasonography